A common type of Ca in middle 3rd of the esophagus-
1. Adeno Carcinoma
2. Squamous Carcinoma
3. Adeno squamous Carcinoma
4. Leiomyosarcoma

Correct answer: 2. Squamous Carcinoma

Explanation: Esophageal carcinoma is of two common histological types -
1. Squamous cell carcinoma

Most common type worldwide.
Most common type in India.
Occurs in upper and middle 1/3rd of esophagus.

2. Adenocarcinoma

Most common type in the USA.
Located in the lower 1/3rd of esophagus.